Osteoblastic secondaries are most commonly seen from which primary malignancy?
1. Lung
2. Prostate
3. Adrenal
4. Breast

Correct answer: 2. Prostate

Explanation: Ans is 'b' i.e. Prostate